Calcification of intervertebral disc is seen in – a) Goutb) Rheumatoid c) Alkaptonuriad) Psoriasis
1. ac
2. bc
3. ad
4. b

Correct answer: 1. ac

Explanation: Alkaptonuria (oochronosis) and gout can cause intravertebral disc calcification.